A 6-year-old presented to the clinic with scaly patches on the scalp. Primary smears and culture of the skin ,hair were negative. A few weeks later. She returned and was found to have inflammatory lesions. The hair were fluoresced under Wood's light. Primary smears of skin and hair demonstrated Septate hyphae. On speaking with the parent, it was discovered that there were several pets in the household. Which of the following is the most likely agent?
1. Epidermophyton floccosum
2. Microsporum audouinii
3. Microsporum canis
4. Trichophyton rubrum

Correct answer: 3. Microsporum canis

Explanation: The reservoir host is the animal in the above mentioned case-Zoophilic - Microsporum canis On the basis of natural habitat, dermatophytes are classified into three groups: Geophilic: Found in soil Zoophilic: found in domestic or wild animals Anthropophilic: found exclusively in humans Dermatophytes Geophilic Zoophilic Anthropophilic T. ajelloi T. equinum T. mentagrophytes var interdigitale t. terresre T. mentagrophytes var. mentagrophytes T. rubrum M. gypseum T. verrucosum T. schoenlenii M. nanum M. canis T. tonsurans E. stockdaleae T. violaceum